Which of the following is the most common cause of hypergonadotrophic hypogonadism in males-
1. Viral orchitis
2. Klinefelter's syndrome
3. Kallman's syndrome
4. Noonan syndrome

Correct answer: 2. Klinefelter's syndrome